Which of one of the following is NOT a utilization rate?
1. Population bed ratio
2. Bed occupancy rate
3. Bed turnover ratio
4. Average length of stay

Correct answer: 1. Population bed ratio

Explanation: Proportion of infants who are "fully immunized" against the 6 EPI diseases. Proportion of pregnant women who receive antenatal care, or have their deliveries supervised by a trained birth attendant. Percentage of population using various methods of family planning. Bed - occupancy rate Average length of stay Bed turn-over ratio (i.e. discharges / average)